IOC for Acute Aortic Dissection in a Clinically Unstable patient is?
1. NCCT
2. CT-Angio
3. TEE
4. MRI

Correct answer: 3. TEE

Explanation: *In Acute Aortic Dissection Stable Patient-CT-Angio (MDCT with contrast) Unstable Patient-TransEsophageal Echo(TEE)